All of the following are cardiac effects of succinylcholine when administered in a 12 year old child, EXCEPT:
1. Stimulates nicotinic cholinergic receptors at the neuromuscular junction
2. Second dose will cause profound tachycardia
3. Stimulates all ACh receptors
4. Higher doses increase heart rate and contractility of the heart

Correct answer: 2. Second dose will cause profound tachycardia

Explanation: Children are particularly susceptible to profound bradycardia following administration of succinylcholine. Bradycardia will sometimes occur in adults when a second bolus of succinylcholine is administered approximately 3-8 min after the first dose. The dogma is that the succinylcholine metabolite, succinylmonocholine, sensitizes muscarinic cholinergic receptors in the sinoatrial node to the second dose of succinylcholine, resulting in bradycardia. Intravenous atropine is normally given prophylactically to children prior to the first and subsequent doses, and usually before a second dose of succinylcholine is given to adults. Succinylcholine not only stimulates nicotinic cholinergic receptors at the neuromuscular junction, it stimulates all ACh receptors. Low doses of succinylcholine can produce negative chronotropic and inotropic effects, but higher doses usually increase heart rate and contractility and elevate circulating catecholamine levels. Ref: Butterworth IV J.F., Butterworth IV J.F., Mackey D.C., Wasnick J.D., Mackey D.C., Wasnick J.D. (2013). Chapter 11. Neuromuscular Blocking Agents. In J.F. Butterworth IV, J.F. Butterworth IV, D.C. Mackey, J.D. Wasnick, D.C. Mackey, J.D. Wasnick (Eds), Morgan & Mikhail's Clinical Anesthesiology, 5e.